All are true about Parvovirus B-19 except -
1. <10% spread by transplacental route
2. Parvovirus B19 exclusively infects man
3. It is a DNA virus
4. Affects erythroid progenitors but individuals who totally lack Blood Group P Antigen are resistant to Infection

Correct answer: 1. <10% spread by transplacental route

Explanation: <10% spread by transplacental route is not true about Parvoviruses. Parvoviruses: Parvoviruses are the smallest of the DNA viruses belonging to the family Parvoviridae. They are icosahedral, nonenveloped viruses containing a single-stranded DNA. Human parvovirus B19 (B19) is the only known parvovirus that is pathogenic for humans, and it shows tropism for erythroid progenitor cells. Tropism for RBCs: It infects RBC precursors by using P blood group Ag as receptor. Transmission: Parvovirus B19 exclusively infects humans, most commonly by the respiratory route, followed by blood transfusion and transplacental transmission (occurs in 30% of cases with maximum risk in the second trimester).